Which of the following nerve does NOT involve in entrapment syndrome?
1. Femoral
2. Radial
3. Ulnar
4. Median

Correct answer: 1. Femoral

Explanation: The median nerve can be compressed as it passes under the pronator teres. The anterior interosseous branch of the median nerve can be compressed more distally with isolated motor (no sensory) deficits. The ulnar nerve can be compressed as it passes through Guyon's canal. The radial nerve, or its posterior interosseous branch, can be compressed as it passes through the radial tunnel (distal to the elbow where the nerve divides and passes under the arch of the supinator muscle). Nerves involved in entrapment neuropathies:Cranial nerves VII, IX, and XBrachial plexusSuprascapular nerveMedian nerveUlnar nerveLateral femoral cutaneous nerveObturator nerveSaphenous nerveSciatic nerveCommon peroneal nerveDeep peroneal nerveSuperficial peroneal nervePosterior tibial nerveInterdigital nerveRef: Sen S.K. (2010). Chapter 44. Surgery of the Hand and Wrist. In T.R. Billiar, D.L. Dunn (Eds), Schwartz's Principles of Surgery, 9e.